All are true about indirect ophthalmoscope except –
1. Image is real and inverted
2. Details of fundus can be seen even with slightly hazy media
3. Magnification is more than direct ophthalmoscope
4. Used for seeing periphery of fundus

Correct answer: 3. Magnification is more than direct ophthalmoscope

Explanation: Indirect ophthalmoscopy is used to examine the periphery of the fundus. The image formed is real and inverted.
Indirect ophthalmoscopy is possible through hazy media also (direct ophthalmoscopy is not possible).
Magnification is less (4-5 times) than direct ophthalmoscopy (15 times).